Postmortem wound is differentiated from antemortem wound by
1. Wound serotonin content
2. Blood clot
3. Wound edges
4. All of the above

Correct answer: 4. All of the above

Explanation: Ans. is 'd' i.e., All of the above ANTEMORTEM Vs POSTMORTEM WOUNDFeatureAntemortal woundPost Mortem WoundMaemorrhage* Arterial* Blood clotted and the clot is# Laminated# Firmly adherent to the lining of endothelium# Firm, Rubbery and Variegated* Venous* Blood usually not clotted and if clot it is# Non laminated# Weakly adherent to the lining of endothelium# Soft friable chicken fat (yellow) or current jelly (red) appearance# Homogenous * Copious* Deep staining of edges which can't be washed away* Slight* Staining is superficial and can be washed awayWound edgesGapping, Everted, SwollenApposed, not swollenVital reactionSigns of inflammation, infection (pus, slough) and healing (granulation tissue) presentNot presentEnzyme histo-chemistryNegative and positive vital reactionsVital reaction absentWound serotonin & histamine contentIncreasedNo increaseMicroscopy* Clot has platelets* Leucocyte 8c RBC infiltration in between muscle fibres* Clot lacks platelets* No infiltration